Teres major of liver is a remnant of:
1. Ductus venosus
2. Umblical artery
3. Ductus arteriosus
4. Left umbilical vein

Correct answer: 4. Left umbilical vein

Explanation: D i.e. Left umbilical vein